Ratio of chest compression to breathing during cardiopulmonary resuscitation in newborn patient admitted in ICU is:
1. 3:01
2. 5:01
3. 15:02
4. 30:02:00

Correct answer: 1. 3:01

Explanation: Ans: A 3:1 CPR In newborn, compression ventilation ratio is 3:1 with pause for ventilation (synchronized; 90 compressions in 30 breaths) without advanced airway (ventilation by mouth to mouth or nose, bag and mask ventilation) and also with advanced airway in place (endotracheal tube, combitube, tracheostomy tube) 15:2 is the ratio for two resuscitators in case of infants and childrens 30:2 is ratio for single resuscitator in infant and child and in adults (irrespective of number of resuscitators)